Which of the immunoglobulin has Maximum half-life-
1. Ig G
2. Ig A
3. Ig M
4. Ig E

Correct answer: 1. Ig G

Explanation: Serum Half-life: IgG (G1, G2, and G4): 23 days (maximum) and Subclass 3 has half-life of 8 days. IgA: 06 days IgM: 05 days IgD: 03 days IgE:2.5 days (minimum)